Glomus Cells are found in -
1. Carotid body Tumour
2. Thyroid carcinoma
3. Liver carcinoma
4. None

Correct answer: 1. Carotid body Tumour

Explanation: Ans. is 'a' i.e., Carotid body tumoro Non-chromaffin (neuroendocrine) cells of paraganglioma are also called glomus cells.o Glomus tumor is the most common benign tumor of middle ear. It arises from the glomus bodies, therefore named Glomus tumor. It is well recognised that glomus tumors arise from paraganglions, which are normally occurring structures usually found in close association with sympathetic ganglions along the aorta and its main branches. The chiefcells (paraganglionic cells (PGI90)) of the paraganglions are of neural crest origin and are components of the diffuse neuroendocrine system (DIVES). These paraganglionic cells are derived from embryonic neuroepithelium (neural crest). Glomus tumors are also referred to as chemodectomas or nonchromaffin (PGI04) paragangliomas. There are two types of glomus tumorsGlomus jugulareThese glomus tumors arise from the dome of the internal jugular vein in the hypotympanum (DPG10) and jugular foramen. In jugular foramen they can invade IX to XII cranial nerves.Glomus tympanicumThey arise from the promontory of the middle ear along the course of the tympanic branch of the IXth cranial nerve,o The glomus tumor is a rare and benign vascular neoplasm that arises from the neuroarterial structure called a glomus body. The normal glomus body is located in the dermis throughout the body, but is more concentrated in the digits. They are believed to function in thermal regulation,o The most common site of glomus tumors is subungual and 75% of the lesions occur in the hand,o The lesions present most frequently during the fourth and fifth decade of life although they can be found in any age and at any site.o The subungual tumors affect women three times more commonly then men.o The lesions are usually solitav but mulifocal tumors are also seen.o Clinically, glomus tumors are characterized by a triad ofsensitivity to cold,Localized tenderness andserve intermittent pain.The pain can be excruciating and is described as a burning or bursting.o Grossly, the tumors are usually less than one cm. in size, and appear as small red-blue nodules. The lesion appears as a localized dark red or blue lesion beneath the finger nail, but the subungual lesions can be difficult to detect on clinical examination.o Two usefull tests for diagnosing glomus tumors, particularly solitary painful glomus tumors (especially those under a nail) are the following :disappearance of pain after application of a tourniquet proximal ly on the arm.eliciting pain by applying pressure to a precise area with the tip of a pencil.# Treatment of glomus tumors consists of surgical excision.